Arrange vascular events in acute inflammation: A. Increased blood viscosity B. Vasodilatation C. Stasis D. Vasoconstriction E. Increased vascular permeability
1. D,B,E,A,C
2. B,A,E,C,D
3. B,C,E,A,D
4. E,C,A,D,B

Correct answer: 1. D,B,E,A,C

Explanation: The vascular reactions of acute inflammation consist of changes in the flow of blood and the permeability of vessels, both designed to maximize the movement of plasma proteins and leukocytes out of the circulation and into the site of infection or injury. The sequence of vascular changes in acute inflammation are as follows: Immediate transient vasoconstriction Vasodilation Increased vascular permeability Increased blood viscosity and stasis